Refractive index of the cornea is
1. 1.37
2. 1.33
3. 1.42
4. 1.45

Correct answer: 1. 1.37

Explanation: The corneal refractive index is 1.376 The index of refraction of the cornea is about 1.376. Rays pass from the cornea into the watery fluid known as the aqueous humor which has an index of refraction of about 1.336, so most of the refraction is at the cornea-air interface. Reference: khurana 6th edition pg 396